A pregnant woman presents with red degeneration of fibroid, Management is:
1. Myomectomy
2. Conservative Rx
3. Hysterectomy
4. Termination of pregnancy

Correct answer: 2. Conservative Rx

Explanation: In a pregnant female with red degeneration of fibroid, management is essentially conservative treatment with analgesia and rest. Ref: Textbook of Obstetrics By D.C.Dutta, 5th Edition, Page 1327 ; Essentials of Obstetrics By Arulkumaran, 2004, Page 200